Regarding the epidural space, all are true except
1. Is a open space
2. Lies outside of the dura mater
3. Ends at the sacrococcygeal  membrane
4. Continues through foramen magnum into the skull

Correct answer: 4. Continues through foramen magnum into the skull

Explanation: Epidural space is closed superiorly at foramen magnum.